Increased ICT is associated with all of the following except :
1. Disc-oedema
2. Macular oedema
3. Normal vision
4. Afferent pupillary defect

Correct answer: 4. Afferent pupillary defect

Explanation: D i.e. Afferent pupillary defect Relative Afferent Pupillary Defect (RAPD) is the earliest feature of optic nerve disease eg. retrobulbar neuritis. Q